All of the following are used for treatment of H.Pylori, except:
1. Gentamycin
2. Clarithromycin
3. Metronidazole
4. Amoxicillin

Correct answer: 1. Gentamycin

Explanation: Answer is A (Gentamycin): Gentamycin is not used in any of the successful multi-drug regimens against H. Pylori Infection.